Shoulder joint is anatomically weak :
1. Below
2. Anterior
3. Posterior
4. Superior

Correct answer: 1. Below

Explanation: Ans: a (Below ) Ref: Cltaurasia, 4th ed, p. 79The shoulder joint is weakest interiorly. It is more prone to dislocation than any other joint.Dislocation usually occurs when the arm is kept in an abducted position.The stability of the shoulder joint is provided in part by the rotator cuff all around. It is made of the SITS muscles:* Supraspinatus* Infraspinatus* Teres minor* SubscapularisBRIDGE:Pain in subacromial bursitis disappears when the arm is abducted, because the bursa disappears under the acromion. (Dawbam's sign)Dislocation ot the shoulder joint:The most common dislocation is anterior dislocationThe mechanism is usually a fall on the outstreethed arm with the shoulder abducted and externally rotated.ANTERIOR DISLOCATION-The head of the humerus comes to lie anteriorly. The different types are:* Preglenoid* Subcoracoid* SubclavicularPOSTERIOR DISLOCATION:Typically gives rise to ligh bulb sign on radiography.LUXATIO ERECTA:It is s a rare type of dislocation in which head comes to lie in the subglenoid position.Mechanisms of reduction of dislocated shoulder:* Kochermanoeuvre* Hippocrates method